All are true about physiological murmur except
1. Only diastolic murmur
2. Midsystolic murmur
3. Present in child with anaemia
4. Not audible without stethoscope

Correct answer: 1. Only diastolic murmur

Explanation: Midsystolic murmurs -- also known as systolic ejection murmurs, or SEM -- include the murmurs of aortic stenosis, pulmonic stenosis, hypertrophic obstructive cardiomyopathy and atrial septal defects Innocent heart murmurs are hearth murmurs that occur in patients with a normal heart structure. Iron-deficiency anaemia often causes, along with other symptoms, systolic heart murmurs and tachycardia. It appears in children of all ages representing a most common haematological paediatric disease Ref Harrison 20th edition pg 1434